Is a sweat gland:
1. Gland of Moll
2. Gland of Zeis
3. Mebomian gland
4. All of the above

Correct answer: 1. Gland of Moll

Explanation: Ans. Gland of Moll